Preventive resin restoration is used
1. Used in cavitated pit and fissure sealants which require restoration
2. Used in non cavitated pit and fissure sealants
3. In deep caries
4. In non-accessible proximal areas

Correct answer: 1. Used in cavitated pit and fissure sealants which require restoration